Which of the following is known as Panton-Valentine toxin
1. Leucocidin of Staphylococcus aureus
2. Alpha toxin of Clostridium perferingens
3. DNAase of Staphylococcus pyogenes
4. None of the above

Correct answer: 1. Leucocidin of Staphylococcus aureus

Explanation: Panton-valentine leucocidin (called PVL) is a two-component toxin, like gamma lysin, being composed of the S and F components. Such bicomponent, membrane-active toxins have been grouped as synergohymenotropic toxins. Ref: Textbook of Ananthanarayan and paniker's; 10th Edition; Pg:204